True about Fibrolamellar carcinoma of Liver is all, except-
1. Females do not have increased incidence than males
2. Has good prognosis
3. Not associated with liver cirrhosis
4. Serum AFP levels are usually >1000 mg/Itr

Correct answer: 4. Serum AFP levels are usually >1000 mg/Itr

Explanation: Ans. is 'd' i.e., Serum AFP levels are usually greater than 1000mg/litreFibrolamellar carcinoma ?o It is a distinctive variant of hepatocellular carcinomao It is seen in young adults (20-40 yrs of age)It has equal sex incidence o It has better prognosis o It has no association with HBV or cirrhosiso It is grossly encapsulated mass.o AFP elevation is not seen in Fibrolamellar Ca